Which one of the following is not a special incidence rate -
1. Attack rate
2. Secondary attack rate
3. Hospital admission rate
4. Standardized mortality rate

Correct answer: 4. Standardized mortality rate

Explanation: Special incidence rates 

Attack rate (case rate)
Secondary attack rate
Hospital admission rate